The Lipid which accumulates in fatty liver is
1. Trigylcerids
2. FFA
3. Lipoprotein
4. Cholesterol

Correct answer: 1. Trigylcerids

Explanation: Fatty liver refers to the deposition of excess triglycerides in the liver cells. The balance between the factors causing fat deposition in liver versus factors causing removal of fat from liver determines the outcome.Causes of Fatty LiverA. Causes of fat deposition in liver1. Mobilization of NEFA from adipose tissue.2. Excess synthesis of fatty acid from glucose.B. Reduced removal of fat from liver3. Toxic injury to liver. Secretion of VLDL needs synthesis of apo B-100 and apo C.4. Decreased oxidation of fat by hepatic cells.An increase in factors (1) and (2) or a decrease in factors (3) and (4) will cause excessive accumulation, leading to fatty liver.Ref: DM Vasudevan - Textbook of Biochemistry, 6th edition, page no: 142